Fetish is -
1. Transvestism
2. Bestiality
3. Buccal coitus
4. Sexual perversion

Correct answer: 4. Sexual perversion

Explanation: Ref: Textbook of forensic medicine and toxicology (V.V.Pillay) 17th edition, page no.412 Fetishism is type of sexual perversion in which there is sexual focus on parts of the body not normally associated with sexual arousal (eg.hair, foot, toes,etc) or on inanimate objects intimately associated with the human body(hand bag, underwear, shoe,etc)